An alcoholic addicted presents in an emergency with irrelevant talking & disoriented to time, place and person. There is h/o not taking alcohol from last 3 days & no head injury. He also has a visual hallucination. The diagnosis -
1. Dementia praecox
2. Delirium tremens
3. Schizophrenia
4. Korsakoff psychosis

Correct answer: 2. Delirium tremens

Explanation: Disorientation and visual hallucinations after 3 days of alcohol abstinence, in an alcoholic, suggest the diagnosis of delirium tremens.